Side effects of diphenyl hydantoin may include all except:
1. Gingival hyperplasia
2. Acute cerebellar syndrome
3. Inter-nuclear ophthalmoplegia
4. Megaloblastic anaemia

Correct answer: 3. Inter-nuclear ophthalmoplegia